Parathormone (Parathyroid hormone/PTH) increase calcium levels and reduces phosphate level by acting on
1. Proximal tubules
2. Distal tubules
3. Thick ascending limb of Loop of Henle
4. All of the above

Correct answer: 4. All of the above

Explanation: The kidney excretes 250 mmol a day in pro-urine, and resorbs 245 mmol, leading to a net loss in the urine of 5 mmol/d. In addition to this, the kidney processes Vitamin D into calcitriol, the active form that is most effective in assisting intestinal absorption. Both processes are stimulated by parathyroid hormone.Ref: Ganong's review of medical physiology; 24th edition; page no:-377